HLA DQA1 is associated with
1. SLE
2. Sjogrens syndrome
3. Scleroderma
4. Ankylosing spondylosis

Correct answer: 2. Sjogrens syndrome

Explanation: Molecular analysis of human leukocyte antigen (HLA) class II genes has revealed that Sjogren's syndrome, regardless of the patient's ethnic origin, is highly associated with the HLA DQA1*0501 allele. Reference: Harrison 19th edition PG: 2166